Salivary amylase is Inactivated by -
1. Enteropeptidase
2. Low pH of the stomach
3. High pH of the intestine
4. None

Correct answer: 2. Low pH of the stomach

Explanation: Ans. is 'b' i.e., Low pH of the stomach o Saliva contains amylase (salivary amylase or ptyalin), which hydrolyzes starch into disaccharide maltose and a mixture of oligosaccharides. o Its action is very short- lasting because it is inactivated by acidic gastric pH (< 3) shortly after entering the stomach. Salivary amylase optimally active at pH of around 6.9 (6.5 - 7). o It is inactive at a pH below 4.5.